In which leukemia, autoimmune hemolytic anemia is most common
1. ALL
2. AML
3. CMIL
4. CLL

Correct answer: 4. CLL